Not an advantage of synchronized intermittent mandatory ventilation (SIMV) over controlled mode ventilation (CMV):
1. Increased requirement of sedation and muscle relaxant
2. Less hypotension
3. Less V /Q mismatch
4. Rapid weaning

Correct answer: 1. Increased requirement of sedation and muscle relaxant

Explanation: disadvantage of control mode ventilation 1. paralysis or deep sedation is required 2. hemodynamic imbalance in background of decreased blood volume 3. respiratory muscle atrophy 4. weaning not possible. synchronized intermittent mandatory ventilation has minimized / removed these side effects